Tooth with hyperemia will give response to electric pul tester?
1. Low reading than control teeth
2. High reading than control teeth
3. Electric pulp testing is not very significant in hyperemia.
4. False negative response.

Correct answer: 1. Low reading than control teeth